Large angle Kappa gives rise to:
1. Pseudo squint
2. Manifest squint
3. Latent squint
4. Periodic squint

Correct answer: 1. Pseudo squint

Explanation: Ans. Pseudo squint